Gastric lavage in contraindicated in which of the following poisonings?
1. Hydrocarbon poisoning
2. Excessive intake of anti- tubercular drugs
3. Excessive intake of iron tablets
4. Excessive intake of Paracetamol

Correct answer: 1. Hydrocarbon poisoning

Explanation: Ans. A. Hydrocarbon poisoningGastric lavage involves the passage of a oro gastric tube with sequential administration and aspiration of small volumes of normal saline with the intent of removing toxic substances present in the stomach. Contraindications to gastric lavage include ingestion of hydrocarbons because of high aspiration potential, ingestion of corrosive substances, and risk of hemorrhage or GI perforation resulting from pathology or recent surgery. As with induction of emesis, the effectiveness of this procedure is dependent on the time of ingestion and is likely to be most effective within the first 1 to 2 hours post intoxication